A G2P1 on warfarin presents at 38 weeks in labor: Next step
1. Stop warfarin, proceed with vaginal delivery
2. Stop warfarin, proceed with caesarean section
3. Replace warfarin with heparin and proceed with vaginal delivery
4. Replace warfarin with heparin & proceed with cesarean section

Correct answer: 2. Stop warfarin, proceed with caesarean section

Explanation: Ans. is b i.e. Stop warfarin, proceed with caesarean sectionSince the patient is presenting in labor on warfarin, now management is to stop her warfarin and do caesarean section.Note: If patient is on warfarin at the time of labor or within 2 weeks of labour, then caesarean section should % be done